Friedlander Pneumonia refers to Pneumonia caused by-
1. Klebsiella
2. Pneumococcus
3. H. Influenzae
4. Staphylococcus

Correct answer: 1. Klebsiella

Explanation: Ans. is 'a' i.e., Klebsiella o Klebsiella Pneumonia is also known as "Friedlander Pneumonia# Klebsiella initially described in 1882 by Friedlander was also known as Friendlanders bacillus. Community> acquired Pneumonia caused by Friendlanders bacillus (Klebsiella) was termed as Friedlander Pneumonia.